Microalbumiuria refers to urinary albumin excretion rate of:
1. 30-300 mg/ day
2. 400-600 mg/ day
3. 700-900 mg/ day
4. Less than 100 mg/ day

Correct answer: 1. 30-300 mg/ day

Explanation: Ans. A i.e. 30-300 mg/ day